Schwann cells are derived from:
1. Neural crest cells
2. Endoderm
3. Mesoderm
4. Ectoderm

Correct answer: 1. Neural crest cells